Calculate degree of freedom Material Location X Y Glass 8 23 Cupboard 56 3 Metal 1 14
1. 1
2. 2
3. 3
4. 4

Correct answer: 2. 2

Explanation: Degree of freedom = (C-1) (R-1) Given rows = 3 ; columns = 2 DOF = (2-1) (3-1) = 1x2 = 2